False regarding cocaine
1. Obtained from fruits of Erythroxylum coca
2. Crack contains cocaine and baking soda
3. Amyl nitrite is used in the treatment
4. It has sympathomimetic properties

Correct answer: 1. Obtained from fruits of Erythroxylum coca

Explanation: COCAINE Obtained from leaves of Erythroxylum coca Crack contains cocaine and baking soda Amyl nitrite is used to treat It has sympathomimetic properties